VATS refers to:
1. Vaccum assited thoracic surgery
2. Video assisted thoracoscopic surgery
3. Video assisted transplant surgery
4. None of the above

Correct answer: 2. Video assisted thoracoscopic surgery

Explanation: Video Assisted Thoracoscopic Surgery In contrast to most laparoscopic techniques, the working space for VATS is created not by adding an insufflating gas but rather by removing air from the ipsilateral lung parenchyma causing collapse of the ipsilateral lung Used for pulmonary decortication, pleurodesis, and lung or pleural biopsies